Which of the following is NOT a finding within 24 hrs of starvation in a 19-year-old patient with Anorexia Nervosa?
1. Increase in free fatty acids
2. Increase in ketone bodies
3. Decrease in glycogen
4. Decrease in serum proteins

Correct answer: 4. Decrease in serum proteins

Explanation: Proteins are the last reservoir during starvation. It will not be utilized within 12-24 hours of starvation. Ref: Marks' Basic Medical Biochemistry: A Clinical Approach By Michael A. Lieberman, Allan Marks, 2008, Page 35